False statement about Familial Adenomatous polyposis is
1. Most common genetic polyposis syndrome
2. >100 polyps may be seen in colon
3. Colon cancer usually develops around 20 years of age
4. Caused by mutation in APC gene

Correct answer: 3. Colon cancer usually develops around 20 years of age

Explanation: Familial Adenomatous Polyposis
They are precancerous lesion and without intervention risk of developing colon cancer is 100% by 5th decade of life that is around 40 years.